All are true about communicability of Malaria, except -
1. The number of gametocytes in blood increases with time
2. Gametocytes appear in blood 4-5 days after the appearance of the asexual parasite, in vivax infection.
3. Gametocytes appear in blood 10-12 days after the appearance of asexual parasite, in falciparum infection
4. In the early stage of infection, their density may exceed 1000 per cmm of blood.

Correct answer: 1. The number of gametocytes in blood increases with time

Explanation: Ans. is 'a' i.e. The number of gametocytes in blood increases with time A malarial parasite (Plasmodium) has got 2 hostsMan is the intermediate hostMosquito is the definitive hostPlasmodium undergoes 2 cycles of development -the asexual or human cyclethe sexual or mosquito cycleThe mosquito cycle begins when a mosquito feeds on an infected mass and ingests gametocytesMalaria is communicable as long as mature, viable gametocytes exist in the human circulating blood in sufficient density to infect vector mosquitoes.In P. vivax infections, gametocytes appear in blood 4-5 days after the appearance of the asexual parasites.In P. falciparum infections gametocytes appear 10-12 days after the first appearance of asexual parasites.Gametocytes are the most numerous during the early stage of infection when their density may exceed 1000 per cubic mm of blood.They also tend to occur in waves in blood.